Which of the following estimating the burden of a disease in the community is
1. Disease specific mortality
2. Proportional mortality rate
3. Maternal mortality rate
4. Child mortality rate

Correct answer: 2. Proportional mortality rate

Explanation: (Proportional mortality rate) (23 - Park 19th) (25, 54-Park 20th)Proportional mortality rate - The simplest measures of estimating the burden of a disease in the community is proportional mortality rate i.e. - the proportion of all deaths currently attributed to it.* The proportional mortality rate from communicable disease has been suggested as a useful health status indicator* It indicate the magnitude of preventable mortality